The largest function of the total peripheral resistance is due to:
1. Venules
2. Arterioles
3. Capillaries
4. Precapillary sphincters

Correct answer: 2. Arterioles